upper part of the popliteal fossa arrangement of structure is (medial to lateral)?
1. artery - vein- nerve
2. vein-artery-nerve
3. nerve-vein-artery
4. artery-nerve-vein

Correct answer: 1. artery - vein- nerve

Explanation: popliteal fossa upper - artery-vein-nerve ( avn) lower - nerve -vein- artery (nva) (from media to lateral ) ref : bd chaurasia